Recommended transport medium for stool specimen suspected to contain enteric pathogen is
1. Amie's medium
2. Buffered glycerol saline medium
3. MacConkey medium
4. Stuart's medium

Correct answer: 2. Buffered glycerol saline medium

Explanation: Transport media: Transport media are used to maintain the viability of certain delicate organisms in clinical specimens during their transport to the laboratory. They typically contain only buffers and salt. They lack carbon, nitrogen, and organic growth factors, hence do not facilitate microbial multiplication. Transport media used for common bacteria: Bacteria Transport media Streptococcus Neisseria Vibrio Salmonella & Shigella Pike's medium Amies medium and Stuart's medium Cary Blair medium, V. R. medium, Autoclaved sea-water Buffered glycerol saline, Cary Blair medium